Who coined the term "Dementia precox"?
1. Freud
2. Bleuler
3. Kraepelin
4. Schineider

Correct answer: 3. Kraepelin

Explanation: The term dementia precox was coined by Emil Kraepelin in 1899, by unifying disorders such as hebephrenia, catatonia and paranoia. Kraepelin's classification was based on the prognosis of these disorders. Ref: Encyclopedia of Schizophrenia By Richard Noll, 3rd Edition, Pages 339-40